Risk factors for the development of critical limb ischemia include all except
1. Diabetes
2. Hyperlipidemia
3. Moderate alchol intake
4. Hyperhomocysteinemia

Correct answer: 3. Moderate alchol intake

Explanation: .Critical Limb Ischaemia It is persistently recurring ischaemic rest pain for 2 weeks or ulceration or gangrene of the foot or toes with an ankle systolic pressure < 50 mmHg or toe systolic pressure < 30 mmHg.If patient continues to smoke, disease progresses into the collaterals, blocking them eventually, leading to severe ischaemia and is called as decompensatory peripheral vascular disease. It is presently called as critical limb ischaemia. It causes rest pain, ulceration, gangrene. ref:SRB's manual of surgery,ed 3,pg no 152